When two metals are completely miscible in liquid state and they remain completely mixed on solidification,the alloy formed is called
1. Solid solution
2. Eutectic mixture
3. Peritectic mixture
4. Inter metallic compounds

Correct answer: 1. Solid solution